A/E seen in spring catarrh –
1. Follicles
2. Pseudogerontoxon
3. Shield's ulcer
4. Tranta's spot

Correct answer: 1. Follicles